Olive shaped mass on feeding is pathognomonic of:
1. Hypertrophic pyloric stenosis
2. Duodenal atresia
3. Jejuna atresia
4. Ileal stenosis

Correct answer: 1. Hypertrophic pyloric stenosis

Explanation: Ans. (a) Hypertrophic pyloric stenosisRef: Sabiston 20th Edition, Page 1869* If olive shaped mass is palpable then no other investigation is needed to confirm the diagnosis (Even USG is not needed)